Most common site of gastrointestinal TB:
1. Stomach
2. Duodenum
3. Terminal ileum
4. Colon

Correct answer: 3. Terminal ileum

Explanation: Ans. (c) Terminal ileum(Ref: Robbins 9th/pg 375-376)Extrapulmonary TB:MC site is lymph node Q, MC cervical & supraclavicular ("Scrofula") QPleural involvement: Exudative Q Pleural effusion, tuberculous empyema, or obliterative fibrous pleuriticGenitourinary TB: sterile pyuria Q; Preferentially involves fallopian tube Q in females & epididymis Q in malesSkeletal TB: Most common site spine Q (Pott's disease) Q > hip > kneeTB meningitis (paresis of cranial nerves especially ocular, is frequent finding) QIn Gastro-intestinal (GI) TB: MC site terminal ileum and caecum Q